The commonest cyst to arise in pancreas after an attack of acute pancreatitis or pancreatic trauma is:
1. Serous cyst
2. Mucinous cyst
3. Pseudocyst
4. Malignant cyst

Correct answer: 3. Pseudocyst

Explanation: Ans. C i.e. Pseudocyst